Peak level of LH required for ovulation:
1. 15 ng/ml
2. 50ng/ml
3. 30ng/ml
4. 75ng/ml

Correct answer: 4. 75ng/ml

Explanation: Peak level of LH required for ovulation is 75 ng/ml It lasts for 24 hrs Ref: Shaw Gynecology 17 e pg 40.